Inquest for custodial death is held by:
1. Doctor
2. Magistrate
3. Sub-inspector
4. District attorney

Correct answer: 2. Magistrate

Explanation: Ans. B: Magistrate Simply stated, the death if a person in custody whether of the police or judicial will amount to Custodial Death. The Magistrate inquest is mandatory for any death of a person in custody to ensure examination of the circumstances leading to death.